An infertile couple enquires about modalities of ART. Which of the following is not an assisted reproductive technology (ART)?
1. IVF
2. GIFT
3. ZIFT
4. Artificial insemination

Correct answer: 4. Artificial insemination

Explanation: Techniques involved in assisted reproductive technologies includes in vitro fertilization, intracytoplasmic sperm injection, egg donation, gestational carrier surrogacy, gamete intrafallopian transfer (GIFT) and zygote intrafallopian transfer (ZIFT). By convention, assisted reproductive techniques are those at some point require extraction and isolation of an oocyte. In IVF: Mature oocytes from stimulated ovaries are retrieved transvaginally with sonographic guidance. Sperm and ova are then combined in vitro to prompt fertilization, and if successful embryos are transferred transcervically into the endometrial cavity using sonographic guidance. In GIFT: Eggs and sperm are placed catheter through the fimbria and deposited directly into the oviduct. In ZIFT: Zygote is transferred into the fallopian tube at laparoscopy. ZIFT currently is considered most appropriate in rare case in which transcervical transfer during IVF is technically not feasible. Ref: Williams Gynecology, 2e, chapter 20